All of the following are true about MRKH (Mayer - Rokitansky - Kuster - Hauser) syndrome, EXCEPT:
1. Absent uterus
2. Absent cervix
3. Absent ovary
4. Absent vagina

Correct answer: 3. Absent ovary

Explanation: Congenital absence of both the uterus and vagina is termed mullerian aplasia, mullerian agenesis, or Mayer-Rokitansky-Kuster-Hauser syndrome. In classic mullerian agenesis, patients have a shallow vaginal pouch, only measuring 1 to 2 inches deep. In addition, the uterus, cervix, and upper part of the vagina are absent. Typically, a portion of the distal fallopian tubes are present. Also, normal ovaries are expected, given their separate embryonic source. Most patients with mullerian agenesis have only small rudimentary mullerian bulbs without endometrial activity. However, in 2 to 7 percent of women with this condition, active endometrium develops and patients typically present with cyclic abdominal pain. Ref: Hoffman B.L., Schorge J.O., Schaffer J.I., Halvorson L.M., Bradshaw K.D., Cunningham F.G., Calver L.E. (2012). Chapter 18. Anatomic Disorders. In B.L. Hoffman, J.O. Schorge, J.I. Schaffer, L.M. Halvorson, K.D. Bradshaw, F.G. Cunningham, L.E. Calver (Eds), Williams Gynecology, 2e.